Which of the following ACE inhibitor is not a prodrug
1. Fosinopril
2. Enalapril
3. Ramipril
4. Lisinopril

Correct answer: 4. Lisinopril

Explanation: Refer katzung 11e 183 KDT 6/e p23, 24,487 All ACE inhibitor are prodrug except captopril and Lisinopril